Pellagra symptoms are aggravated if diet contains
1. High amount of leucine
2. High amount of lysine
3. Low amount of leucine
4. Low amount of lysine

Correct answer: 1. High amount of leucine

Explanation: Pellagra symptoms are aggravated if diet contains high amount of leucine. Dietary deficiency of Tryptophan: Pellagra is seen among people whose staple diet is maize (South and Central America). In maize, niacin is present; but it is in a bound form, and is unavailable. Pellagra is also seen when staple diet is sorghum (jowar or guinea corn) as in Central and Western India. Sorghum contains leucine in high quantities. Leucine inhibits the QPRT enzyme, and so cannot be converted to NAD+ (Leucine pellagra). Reference: Textbook of Biochemistry by D M Vasudevan, sixth edition pg no. 395, 396.